"Incidence" is defined as -
1. Number of new cases occurring in a defined population
2. Total cases (new+old) occurring in a defined population
3. Number of exposed developing the disease in a defined population
4. None of the above

Correct answer: 1. Number of new cases occurring in a defined population

Explanation: Ans. is 'a' i.e., Number of new cases occuring in a defined population